Which of the following is not sensitive to radiotherapy?
1. Ewings sarcoma
2. Osteosarcoma
3. Wilms'
4. Neuroblastoma

Correct answer: 2. Osteosarcoma

Explanation: Ans. Osteosarcoma